Which of the following typical antipsychotic drug is not available in depot form ?
1. Haloperidol
2. Risperidone
3. Olanzapine
4. Chlorpromazine

Correct answer: 4. Chlorpromazine

Explanation: Ans. D. ChlorpromazineAntipsychotic drugs with depot preparations are risperidone, poliperidone, halopetidol, fluphenazine, flupenthixol, zuclopenthixol, olannpine, clozapine, imipramine and quetiapine.